All are contents of femoral sheath except -
1. Femoral artery
2. Femoral nerve
3. Femoral vein
4. Genitofemoral nerve

Correct answer: 2. Femoral nerve

Explanation: Femoral canal (Femoral sheath)
                      -        Medial compartment

   Opening - Femoral ring
   Content - Lymph nodes of Cloquet/Rosenmuller, Lymphatics, fat, areolar tissue.

 -        Intermedius compartment

   Content- femoral vein

 -        Lateral compartment

   Content- femoral artery, femoral branch of genitofemoral nerve

 
 Femoral ring Formation
-        Anterior - Inguinal ligament
-        Medial - Lacunar ligament
-        Posterior - Pectineus with fascia
-        Lateral- septum separating it from femoral vein